Influenza pandemic is due to
1. Antigenic shift
2. Antigenic drift
3. Different strains
4. All

Correct answer: 1. Antigenic shift

Explanation: Ans. a (Antigenic shift). (Ref. Anantanarayan, Microbiology, 4th/pg.487)TermCommentsAntigenic drift- Gradual sequential change at frequent interval i.e. mutation of pathogen (e.g. Influenza A), such that the surface antigens differ from those of previously existing strains.- Accounts for small epidemics.Antigenic shift- Sudden drastic discontinuous change in antigenic structure i.e., by recombinant DNMA technology. - Accounts for major epidemic and pandemics.